The afferent pathway for light pupillary reflex is -
1. Trigeminal nerve
2. Optic nerve
3. Abducent nerve
4. Ciliary nerve

Correct answer: 2. Optic nerve

Explanation: Afferent fibres travel along optic nerve to optic chiasma where fibres from nasal retina decussate and travel along the opposite optic tract to terminate in the contralateral pretectal nucleus, while the fibres from the temporal retina remain uncrossed and travel along the optic tract of same side to terminate in the ipsilateral pretectal nucleus refer comprehensive ophthalmology (6 th edition) A K Khurana